Gluconeogenesis is mainly seen in:
1. Kidney
2. Liver
3. Spleen
4. Heart

Correct answer: 2. Liver

Explanation: Ans. (b) LiverRef: Vasudevan Biochemistry 8/e. P 136SITE OF GLUCONEOGENESIS* Major site of gluconeogenesis: Liver (90%)* Secondary site: Kidney cortex and in small intestine under some conditions. (10%)* It takes place in the mitochondria and cytoplasm.* The production of glucose is necessary for use as a fuel source by the brain, testes, erythrocytes, kidney medulla, lens and cornea of the eye and exercising muscles.